A 35 year old man was found unconscious. Examination revealed bilateral constricted pupils, bradycardia, excessive sweating and secretion. Most likely cause is:
1. Opium poisoning
2. Acute alcohol intoxication
3. Organophosphorous poisoning
4. Pontine hemorrhage

Correct answer: 3. Organophosphorous poisoning